Delayed puberty seen in all except
1. Chronic disease
2. Hypothyroidism
3. Turnur's syndrome
4. Mac cune albright syndrome

Correct answer: 4. Mac cune albright syndrome

Explanation: Delayed puberty may be related to chronic,reversible causes like systemic disease, malnutrition,eating disorders,hyperprolactinemia,and hypothyroidism.Irreversible defects includes destruction of the hypothalamic pituatory axis by infection,surgery,tumour.All theses are due to chronic diseases. McCune-Albright syndrome: A) A typical lesion on the face, chest, and arm of a 5-year-old girl with McCune-Albright syndrome which demonstrates jagged "coast of Maine" borders, and the tendency for the lesions to both respect the midline and follow the developmental lines of Blaschko. B) Typical lesions that are often found on the nape of the neck and crease of the buttocks are shown (black arrows). C) A typical lesion on the lower back in an adult with McCune-Albright syndrome demonstrates jagged borders (white arrow). Note the spinal asymmetry due to fibrous dysplasia-related scoliosis. Reference: OP Ghai essential paediatrics ,8th edition.page-no 534 .